Treatment of alcohol dependence includes?
1. Morphine
2. Chlordiazepoxide
3. Sertarline
4. Methadone

Correct answer: 2. Chlordiazepoxide

Explanation: Ans. is 'b' i.e., Chlordiazepoxide Treatment of alcohol dependence* Detoxification (treatment of withdrawal) BZDs are the drugs of choice, e.g. chlordiazepoxide (1st choice), Diazepam (2nd choice).* Maintenance after detoxification (to prevent relapse and maintenance of abstinence)i) Aversive agents (deferent agents):- Disulfiram, CCC, metronidazole, Natrafezole.ii) Anticraving agent:- Naltrexoney Acamprosate, fluoxetine, Topiramate, Nalmefene* Naltrexone is the preferred agent for maintenance of abstinence